Which of the following is true about Rotavirus -
1. Commonly affects children
2. Double Stranded DNA
3. Can be grown easily on cell culture
4. Egg shell appearance under electron microscope

Correct answer: 1. Commonly affects children

Explanation: rota virus are the commonest cause of diarrhea in infants and children the world over and account for half of the cases of children hospitalised for diarrhea REF:ANANTHANARYANAN TEXT BOOK OF MICROBIOLOGY 9EDITION PGNO.561